Topical antiviral drugs not indicated in :
1. Dendritic ulcer
2. Met herpetic ulcer
3. Stromal necrotizing keratitis
4. All

Correct answer: 2. Met herpetic ulcer

Explanation: B i.e. Metaherpetic keratitis Metaherpetic keratitis (Epithelial sterile trophic ulceration) is not an active viral disease but a mechanical healing problem and its has got no role of topical antiviral and steroid Q (treated by artificial tear, soft contact lens & tarsorrhaphy) Neuroparalytic (exposure) keratitis is the result of improper wetting of the ocular surface by the tear film because of inability to close the eyes (e.g. Bell's palsy etc.). It is treated by lubricants (artificial tears), soft contact lens & tarsorrhaphy.